Drug that decrease lipoprotein (a) is ?
1. Fibrates
2. Niacin
3. Statins
4. All

Correct answer: 2. Niacin